A/E the following changes are seen on the 5th day of fasting:
1. Increase in FFA levels.
2. Decreased glucose tolerance
3. Decreased growth hormone
4. Decreased level of Insulin

Correct answer: 3. Decreased growth hormone

Explanation: C i.e. Decreased growth hormone On 5th day of fasting, blood glucose level will be low and all the physiological changes will work in the direction of increasing the blood glucose level.